A patient is complaining of "lump in the throat" without any difficulty in deglutition. The muscle involved in the given condition
1. Cricopharyngeal muscle
2. Thyropharyngeus muscle
3. Stylopharyngeus muscle
4. None

Correct answer: 1. Cricopharyngeal muscle

Explanation: Answer- A. Cricopharyngeal muscleThe sensation of difficulty in swallowing (medically called dysphagia) in the absence of any apparent physical abnormality is often commonly described as having "lump in the throat".The most common cause of such a sensation is due to tightening of the cricopharyngeal muscle surrounding the esophagus,it is called Globus Pharyngeus or Globus Hystericus.